The single most powerful predictor of survival in multiple myeloma is -
1. `M' component production
2. Bone marrwo plasmocytosis
3. Serum beta 2-microglobulin level
4. Serum calcium level

Correct answer: 3. Serum beta 2-microglobulin level